Procalcitonin is used as marker of:
1. Cardiac dysfunction in acute coronary syndrome
2. Menstrual periodicity
3. Pituitary function
4. Sepsis

Correct answer: 4. Sepsis

Explanation: Procalcitonin is an acute phase reactant which is now useful for being a marker of sepsis.